Beta blocker that can be used in renal failure is all except-
1. Propranolol
2. Pindolol
3. Sotalol
4. Oxyprenolol

Correct answer: 3. Sotalol

Explanation: Ans. is 'c' i.e., Sotalol "Sotalol is not metabolized in liver, excretion is predominantly by the kidney in the unchanged form". - Katzung 101Ve p. 229 Since it is primarly excreted in urine, it should not be used in renal failure. 0-blockers which are primarily excreted by kidney and should not be given in renal failure --> Atenolol, Sotalol, nodolol About other options Approximately 50% of pindolol is metabolized in liver, the remainder of the drug is excreted unchanged in urine - - Goodman Gillman o Propranolol and oxprenolol are mainly metabolized in liver.